Chemoreceptors operate between pressure range of:
1. Below 90 mm HG
2. 40-100 mm Hg
3. 70-150 mm Hg
4. 70-220 mm Hg

Correct answer: 2. 40-100 mm Hg

Explanation: In nervous circulatory mechanism of arterial BP the chemoreceptor reflex operates between 40-100 mm Hg . Fallen the arterial BP less than 80 mmhg decreases blood flow to the tissues this decreases pO2 2 carotid and aortic bodies and causes stimulation of VMC and CVC and respiratory centre.